Standardised mortality rate is stadardised for
1. Age
2. Disease
3. Region
4. A particular time period

Correct answer: 1. Age

Explanation: Ans. is 'a' i.e., Age